For dental amalgam, the elastic modulus and tensile strength is
1. 40 Gpa and 60 — 100 MPa
2. 21 Gpa and 27 — 55 MPa
3. 350 Gpa and 10 — 120 MPa
4. 360 Gpa and 125 — 130 MPa

Correct answer: 2. 21 Gpa and 27 — 55 MPa